A 10 year old boy presents with a palpable mass per abdomen. On imaging, para-aortic lymph nodes were found to be enlarged. A biopsy from the lymph node showed a starry sky appearance. What is the likely underlying abnormality -
1. Tumor suppressor gene Tp53 mutation
2. Rb tumor suppressor gene mutation
3. Translocation involving BCR-ABL genes
4. Translocation involving cMYC gene

Correct answer: 4. Translocation involving cMYC gene

Explanation: . Translocation involving cMYC gene